Which of the following condition is associated with giant 'a' wave in a JVP?
1. ASD
2. Tricuspid stenosis
3. SVC obstruction
4. Complete heart block

Correct answer: 2. Tricuspid stenosis

Explanation: 'a' wave in a JVP reflects right atrial presystolic contraction and occurs just after P wave on ecg and precedes first heart sound. Giant a waves occur in tricuspid stenosis and right ventricular hypertrophy. Giant a waves are produced when right atrium contracts with increased force due to the increase in resistance to the flow of blood from right atrium to right ventricle. Reference: Harrison's Principles of Internal Medicine 18th edition chapter 227.